HIV envelop is formed by:
1. Host cell
2. Virus
3. Both
4. None

Correct answer: 3. Both

Explanation: Ans. c. Both